Air volume in lung after normal expiration is called as ?
1. FRC
2. ERV
3. RV
4. TC

Correct answer: 1. FRC

Explanation: Ans. is 'a' i.e., FRCFRC is the amount of air remaining in the lungs after a normal tidal expiration (FRC = ERV + RV).